Which of the following is TRUE regarding physiological changes in brain during exercise
1. Blood flow is decreased
2. Blood flow is increased
3. Blood flow remains unaltered
4. Blood flow initially increases and then decreases

Correct answer: 3. Blood flow remains unaltered